All of the following are nonparametric test, except:
1. Chi-square test
2. Z-test
3. Wilcoxon Rank sum test
4. Kruskal-Wallis 'H' test

Correct answer: 2. Z-test

Explanation: Ans. b. Z-testRef: Parks Text book of Preventive and Social Medicine, 24th Ed; Page No-274-75 PARAMETRIC AND NONPARAMETRICTESTS Parametric testsNonparametric testsBased onGaussian/Normal distributionsNon-normal distributionsType of dataQuantitativeQualitativeComparesMeans (+SD)Percentage, proportions and fractionsExample*. Students (Paired) t-test*. Students (Unpaired) t-test*. ANOVA F-test*. Sign test*. Chi-square test*. Wilcoxon Rank sum test*. Wilcoxon signed Rank test